Non essential amino acid - aspartate is synthesized by which reaction in the body?
1. Transamination from pyruvate
2. Transamination from oxaloacetate
3. Transamination from α-ketoglutarate
4. Removal of hydroxymethyl group from serine

Correct answer: 2. Transamination from oxaloacetate

Explanation: Nonessential amino acids—can be synthesized in humans.
a. Alanine—transamination from pyruvate.
b. Aspartate—transamination from oxaloacetate.
c. Asparagine—addition of ammonia to aspartate.
d. Cysteine—skeleton from serine and sulfur from methionine.
e. Glutamate—transamination from α-ketoglutarate.
f. Glutamine—addition of ammonia to glutamate.